Serum analysis of a patient with acute anterior wall myocardial infarction shows abnormal lipid profile. Which of the following lipoprotein is MOST closely associated with heart disease?
1. Chylomicrons
2. VLDL
3. LDL
4. HDL

Correct answer: 3. LDL

Explanation: LDL cholesterol was prospectively associated with a threefold increased risk of coronary heart disease (CHD), independent of total cholesterol, HDL, and body mass index. The NCEP III guidelines recognize small, dense LDL as a CVD risk factor. LDL delivers cholesterol to peripheral tissues, including atheromatous lesions, and the LDL plasma concentration correlates positively with myocardial infarctions and ischemic strokes. Ref: Katzel L.I., Blumenthal J., Sorkin J.D., Goldberg A.P. (2009). Chapter 110. Dyslipoproteinemia. In J.B. Halter, J.G. Ouslander, M.E. Tinetti, S. Studenski, K.P. High, S. Asthana (Eds), Hazzard's Geriatric Medicine and Gerontology, 6e.